Periportal fatty infiltration of the liver is seen with-
1. Alcoholism
2. Viral hepatitis
3. Malnutrition
4. Tetracycline

Correct answer: 3. Malnutrition

Explanation: Causes of periportal fatty infiltration

Low protein diet
Total parenteral nutrition
Langerhans cell histiocytosis.